Blood form of folic acid is
1. Folinic acid
2. Petroglutamate
3. Methyl THF
4. None

Correct answer: 3. Methyl THF

Explanation: Blood form of Folic acid is Methyl-tetrahydrofolic acid. Folate and anemia: Inadequate serum levels of folate can be caused by increased demand (for example, pregnancy and lactation), poor absorption caused by pathology of the small intestine, alcoholism, or treatment with drugs that are dihydrofolate reductase inhibitors, for example, methotrexate (Figure 28.3). A folate-free can cause a deficiency within a few weeks. A primary result of folic acid deficiency is megaloblastic anemia (Figure 28.4), caused by diminished synthesis of purines and TMP, which leads to an inability of cells (including red cell precursors) to make DNA and, therefore, they cannot divide. Ref: Lippincott, Textbook of Biochemistry, page no: 374,375